The patient who had dental extraction before radiotherapy needs:
1. No time for healing
2. Adequate time for healing
3. Radiotherapy is not advised
4. Wait for one day to start radiotherapy

Correct answer: 2. Adequate time for healing

Explanation: Ans. Adequate time for healing